Not true about Mucocele
1. Most common in frontal sinus
2. Orbit is pushed back wards and downwards in frontal sinus mucocele
3. Complication of chronic sinusitis
4. In ethmoid sinus mucocele orbit pushed laterally

Correct answer: 2. Orbit is pushed back wards and downwards in frontal sinus mucocele

Explanation: In frontal sinus mucocele - orbit pushed downwards, forwards and laterally.